Pseudoclaudication is due to the compression of ?
1. Femoral artery
2. Femoral nerve
3. Cauda Equina
4. Popliteal artery

Correct answer: 3. Cauda Equina

Explanation: Ans. is 'c' i.e., Cauda Equina Pseudoclaudication is intermittent claudication due to compression of the Cauda Equina. Cauda Equina Claudication: is produced as a result of compression of the cauda equina due to conditions such as lumbar canal stenosis (congenital or spondylosis) or protrusion of disc.